Rickets is characterized by
1. Decrease in Calcium content of bone
2. Widening of growth cartilage
3. Beading of ribs
4. All of the above

Correct answer: 4. All of the above

Explanation: Rickets / Osteomalacia Pathophysiology - Failure of calcification & mineralization of cartilage and osteoid tissue Clinical featuresRadiological featuresGeneralized muscle weakness, lethargy, irritability and listlessness Protruberant abdomen Large head, open fontanelles and craniotabesThickening of knees, ankle & wrists due to physeal overgrowth Rachitic rosary Harrison's groove Pectus carinatumShort stature & bowing of long bones with genu valgum, coxa vara, kyphoscoliosis Elongation of physis & hazy appearance of provisional zone of calcification Widened growth plate Cupping of metaphysis Splaying and flaring of epiphysis Bowing of diaphysis with thinning of cortices OsteopeniaLooser's zone Biconcave codfish vertebra Thoracolumbar kyphosis Trefoil & Champagne glass pelvis (Refer: Tachdijian'spaediatric Orthopedics, 5th edition, pg no: 1685-1696)